Tidal volume in a normal man at rest is
1. 0.5 L
2. 1L
3. 1.5 L
4. 2 L

Correct answer: 1. 0.5 L

Explanation: Normal tidal volume is 500 ml Ref: guyton and hall textbook of medical physiology 12 edition page number:324,325,326